Which of the following vessel provide maximum blood supply to the liver?
1. Hepatic artery
2. Portal vein
3. Superior mesenteric artery
4. None of the above

Correct answer: 2. Portal vein

Explanation: 70% of the blood to the liver is carried by portal vein. Hepatic artery carries 30% of the blood to liver. Hepatic artery provides oxygenated blood to the liver and portal vein brings venous blood rich in products of digestion. The arterial blood on reaching the liver is conducted to central vein of each liver lobule by liver sinusoids. The central vein then drain into right and left hepatic veins which inturn leave the posterior surface of the liver and open into inferior vena cava. Ref: Clinical Anatomy by Regions By Richard S. Snell page 249